Which of the following is not true regarding the process of "NETosis"?
1. Causes death of neutrophils
2. Chromatin condensation
3. Detected in blood in patients with sepsis
4. Plays a role in pathogenesis of SLE

Correct answer: 2. Chromatin condensation

Explanation: NETosis i.e. the process of formation of Neutrophil Extracellular Traps (NETs): Extracellular fibrillar networks that concentrate antimicrobial substances at sites of infection and trap microbes, helping to prevent their spread. Produced by neutrophils in response to infectious pathogens (mainly bacteria and fungi) and inflammatory mediators (e.g., chemokines, cytokines , complement proteins, and ROS). The extracellular traps consist of a viscous meshwork of nuclear chromatin that binds and concentrates granule proteins such as antimicrobial peptides and enzymes. NET formation starts with ROS-dependent activation of an arginine deaminase that converts arginines to citrulline, leading to chromatin decondensation. In this process, the nuclei of the neutrophils are lost, leading to death of the neutrophils. NETs have also been detected in the blood during sepsis. NETs, which includes histones and associated DNA, has been postulated to be a source of nuclear antigens in systemic autoimmune diseases, particularly lupus.